During a fire accident a man got blisters on his hand. Which of the following classes of burns does have blister formation?
1. Superficial first degree burn
2. Superficial second degree burn
3. Third degree burn
4. Deep first degree burn

Correct answer: 2. Superficial second degree burn

Explanation: Burns are classified by two different systems: partial thickness or full thickness burns, and first, second, or third degree burns. First-degree burns show superficial erythema with no blistering. Second-degree burns may be either superficial or deep. Superficial second-degree burns show erythema with blister formation, and they may be painful for days. Deep second-degree burns show more extensive loss of epidermis with blistering, and the skin may be dry, wet, anaesthetic, or painful and it may appear mottled. Third degree burns show full-thickness destruction of the skin and all its appendages . These burns are anaesthetic, leathery, and discolored. Ref: Color Atlas of Foot & Ankle Dermatology By Gary L. Dockery, Gary L. Dockery Mary Elizabeth Crawford, 1999, Page 280; Schwartz's Principles of Surgery, 9th edition, Chapter 8. Burns.